In atrial septal defect the aorta is –
1. Small
2. Normal
3. Enlarged
4. Aneurysmal

Correct answer: 1. Small

Explanation: Chest x-ray in ASD

Mild to moderate cardiomegaly                                            
Right atrial and right ventricular enlargement.                     
Plethoric lung fields.
prominent pulmonary artery segement.
Relatively small aortic shadow